In angle closure glaucoma, obstruction to outflow of aqueous humour mainly due to the involvement of:
1. Canal of schlemm
2. Trabecular meshwork
3. Iris
4. Scleral venous plexus

Correct answer: 3. Iris

Explanation: Ans. C: Iris